Regarding stones in gallbladder the following are true except
1. Mixed stones are common in the west
2. In saint's traid diverticulosis of colon and hiatus hernia coexist
3. 90% of GB stones are radiopaque
4. Is a risk factor for development

Correct answer: 3. 90% of GB stones are radiopaque

Explanation: Cholesterol stones are Radiolucent stones Majority of stones pigment and Mixed stones are radiolucent So almost 90% are radiolucent not Radiopaque Ref: Sabiston 20th edition Pgno :1494